Psychrometer is used to measure
1. Humidity
2. Air velocity
3. Room temperature
4. Radiant heat

Correct answer: 1. Humidity

Explanation: • Air humidity can be measured by:
Dry and wet bulb thermometers
Hygrometer
Sling/Whirling Psychrometer
Assman Psychrometer